Which inflammatory marker is responsible for appetite suppression and lipid depletion culminating to muscle atrophy in case of inadequate nutrition:
1. TNF
2. TGF beta
3. EGF
4. FGF

Correct answer: 1. TNF

Explanation: Cachexia is also seen in patients with chronic inflammatory diseases and cancer. In the former, chronic overproduction of the inflammatory cytokine tumor necrosis factor (TNF) is thought to be responsible for appetite suppression and lipid depletion, culminating in muscle atrophy.